Kinebock's disease is due to avascular necrosis of-
1. Femoral neck
2. Medial cuneiform bone
3. Lunate bone
4. Scaphoid bone

Correct answer: 3. Lunate bone

Explanation: Kienbock's disease is osteochondritis of Lunate.